Red degeneration most commonly occurs at :
1. 1st trimester
2. Second trimester of pregnancy
3. Third trimester of pregnancy
4. Puerperium

Correct answer: 2. Second trimester of pregnancy

Explanation: Second trimester of pregnancy